The following are derived from cholesterol, EXCEPT
1. Bile acids
2. Steroid hormones
3. Vitamin D
4. Energy

Correct answer: 4. Energy